True statement about PPV is:
1. It increases with prevalence
2. It decreases with prevalence
3. No relation with prevalence
4. Increases incidence

Correct answer: 1. It increases with prevalence

Explanation: Ans. (a) It increases with prevalenceRef: K. Park 23rd ed. /140-141# POSITIVE PREDICTIVE VALUE* Ability of screening test to identify correctly all those who have disease out of all those who test positive on a screening test.* It depends upon sensitivity, specificity and prevalence of a disease in a population* PPV of a screening is directly proportional to prevalence of disease* If Prevalence of a disease increases in a population, PPV increase for the screening test.PPV=TP/TP+FP x 100